Range of microalbuminuria is?
1. 10-99 mg/day
2. 20-199 mg/day
3. 30-299 mg/day
4. 40-399 mg/day

Correct answer: 3. 30-299 mg/day

Explanation: Systemic hypertension causes major effects in three main organs--heart and its blood vessels, nervous system, and kidneys. An important and early clinical marker for renal injury from hypertension and risk factor for cardiovascular disease is macroalbuminuria (i.e. albuminuria > 150 mg/day or random urine albumin/creatinine ratio of >300 mg/gm creatinine), or microalbuminuria estimated by radioimmunoassay (i.e. microalbumin 30-300 mg/day or random urine microalbumin/creatinine ratio of 30-300 mg/gm creatinine). Ref: TEXTBOOK OF PATHOLOGY 6th EDITION - HARSH MOHAN PAGE NO:687